CARE is associated with –
1. ICDS
2. CRY
3. Ford Foundation
4. RCH sheme

Correct answer: 1. ICDS